Which of the followi 's true about Penicillin G?
1. Broad spectrum
2. It is effective orally
3. Used for treatment of rat bite fever
4. Probenecid given along with Penicillin G decreases duration of its action

Correct answer: 3. Used for treatment of rat bite fever

Explanation: Ans. c. Used for treatment of rat bite fever Penicillin G is not given by oral route: Penicillin G is acid labile, destroyed by gastric acid, so not given by oral route. Low oral bioavailability (only useful parenterally) Penicillin C is not a broad-spectrum antibiotic: Penicillin G is 0-lactam antibiotics and is used in the treatment of bacterial infections caused by susceptible, usually Gram-positive, organisms. Narrow spectrum Penicillin G is DOC for: Anthrax Actinomycosis Trench mouth Rat bite fever Probenecid is given along with Penicillin G: Increase its action because it has high affinity for the tubular OATP, so it blocks the transport of penicillin and increase its efficacy. Decreases volume of distribution of penicillin G. Penicillin G MOA: It inhibits cell synthesis by interfering with the transpeptidation reactions Penicillin G is 13-lactam antibiotics and is used in the treatment of bacterial infections caused by suscptible usually Gram-positive organismsQ. Resistance to penicillin G is due to 4 mechanism Inactivation of antibiotic by beta-lactamase: MCQ Modification of target penicillin binding protein (PBP)Q Impaired penetration of the drug to target PQ EffluxQ Pharmacokinetics: enicillin G is acid labile, destroyed by gastric acid, so not given by oral routes Probenecid is given along with Penicillin G, increase its action because it has high affinity for the tubular OATP, so it blocks the transport of penicillin and increase its efficacyQ. Probenecid also decreases volume of distribution of penicillin Gs.